Pulmonary edema will be caused by all except:
1. Mitral stenosis
2. Pulmonary emobolism
3. Pneumonia
4. COPD

Correct answer: 4. COPD

Explanation: Ans. D: COPD Causes include: Pneumonia Inhalation of toxins - such as chlorine, mustard gas, smoke Circulating toxins - such as histamine, septicaemia Disseminated intravascular coagulation Intravenous drug use like heroin heart failure: - Atrial, e.g. mitral stenosis - Ventricular, e.g. myocardial infarction, hypertension Pulmonary embolism, reperfusion IV fluid overload, e.g. from multiple blood transfusion Chest injury